For CD fabrication minimum interarch distance needed?
1. 8 to 10 mm
2. 18 to 20 mm
3. 28 to 30 mm
4. 36 to 40 mm

Correct answer: 2. 18 to 20 mm